Which of the following is a clinical feature of rickets ?
1. Early closure of anterior fontanelle
2. Craniotabes
3. Pseudoparalysis of the lower extremities
4. Decrease in upper segment to lower segment ratio

Correct answer: 2. Craniotabes

Explanation: Clinical manifestations of rickets include skeletal deformities like bow legs(genu varum) in toddlers,knock- knees(genu valgum) in older children,craniotabes(soft skull),costichondral swelling(rickety rosary),Harrison groove,double malleoli due to metaphyseal hyperplasia,increased tendency for fractures,especially greenstick fractures,etc. Reference: GHAI Essential pediatrics, 8th edition